About NPCB, all are true except -
1. Increase cataract surgery rate to 450 operations per lakh population
2. Intra-ocular lens implantation in more than 80% cataract surgery cases
3. 100% coverage of vitamin A prophylaxis doses from 9 months to 3 years of age
4. Development of 50 pediatric ophthalmic units

Correct answer: 3. 100% coverage of vitamin A prophylaxis doses from 9 months to 3 years of age

Explanation: Ans. is 'c' i.e., 100% coverage of Vitamin A prophylaxis doses from 9 months to 3 years of age o Targets for tenth five year plan under national programme for control of Blindness (NPCB) were : - i) lb increase the cataract surgery rate to 450 operations per lakh population. ii.) Intra-ocular lens implantation in more than 80% cataract surgery cases. iii) Development of 50 pediatric ophthalmology units iv) Facilities for early diagnosis and treatment of glaucoma and diabetic retinopathy. v) Settingup 20,000 vision centres in rural areas. vi) Development of 25 fully operational eve bank network. vii) Developing human resources and institutional capacity for eye care by providing training to eye surgeon and others personnel at various levels, supply of ophthalmic equipments and grant-in-aid to NGOS. Note : 10th five year plan was from 2002 to 2007.